Which of the following inhibits transcription ?
1. Cyclosporine
2. Rapamycin
3. 5-Flurouracil
4. Cyclophosphamide

Correct answer: 1. Cyclosporine

Explanation: Ans. is 'a' i.e., Cyclosporine Cyclosporine inhibits transcription by binding to a protein called cyclophilin. This complex then inactivates calcineurin. (Calcineurin is a protein which is responsible for the transcription of cytokine gene)